Which of the following is most frequently associated with the typical form of carcinoid syndrome ?
1. Foregut carcinoid
2. Midgut carcinoid
3. Hindgut carcinoid
4. None of the above

Correct answer: 2. Midgut carcinoid

Explanation: Midgut carcinoids are argentaffin-positive and have a high serotonin content. They most frequently cause the typical carcinoid syndrome when they metastasize. Reference: Harrisons Principles of Internal Medicine, 18th Edition, Page 3058